Case Fatality Rate (CFR) of Rabies is
1. 80%
2. 90%
3. 100%
4. 95%

Correct answer: 3. 100%